C shaped morphological appearance is seen in
1. Maxillary 1st premolar
2. Mandibular 1st premolar
3. Maxillary 1st molar
4. Mandibular 2nd molar

Correct answer: 4. Mandibular 2nd molar